Best representation of a population with age variation-
1. Life table
2. Correlation coefficient
3. Population pyramid
4. Barchart

Correct answer: 3. Population pyramid

Explanation: Ans. is 'c' i.e., Population pyramid o The age and sex distribution of a population is best represented by population pyramido In countries with high birth rates as ours, it is broad based conical pyramid because of high birth rate and tapering of population with increase in age.o In developed countries with low birth rate, the pyramid swells in the middle and is narrow at the base and is not so conical at the top. (dumb bell shaped).